Pseudobronchiectasis is seen in-
1. Lung abscess
2. Atelectasis
3. Bronchopneumonia
4. Emphysema

Correct answer: 3. Bronchopneumonia

Explanation: In pneumonia temporary bronchial dilatation which is reversible called pseudo bronchiectasis.